Enlows 'V' principle of growth is found in
1. Cranial base
2. Maxilla only
3. Maxilla and mandible
4. None of the above

Correct answer: 3. Maxilla and mandible